Which of the following vitamins does not participate in oxidative decarboxylation of pyruvate to acetyl CoA -
1. Thiamine
2. Niacine
3. Riboflavin
4. Biotin

Correct answer: 4. Biotin

Explanation: Ans. is 'd' i.e.. Biotin o Oxidative decarboxylation of pyruvate to acetyl CoA occurs only in mitochondria.o Pyruvate, formed in cytosol, is transported into the mitochondria by a proton svmporter. In side the mitochondria, it is oxidatively decarboxylated to acetyl CoA by a multienzyme complex, i.e., py ruvate dehydrogenase (PDH) complex.o PDH complex is located in the mitocondria! matrix.o PDH complex is made up of three enzymes and requires five coenzymes.o The enzymes are: (i) E : Pyruvate dehydrogenase or pyruvate decarboxylase, (ii) E,: dihydrolipoyl transacetyl as e, and (iii) E,: dihydrolipoy l dehy drogenase.o The coenzymes required are thiamine pyrophosphate (TPP), lipoic acid. FAD, NAD, and CoA.Coming to the questiono Niacin is used as NAD, Riboflavin is used as FAD and thiamine is used as TPP.